Depression is not a side effect of -
1. Propranolol
2. Oral contraceptives
3. L-dopa
4. Flupenthixol

Correct answer: 4. Flupenthixol

Explanation: Drugs causing depression:- Antihypertensives (Reserpine, methyldopa, (-blocker), NSAIDs, calcium channel blockers, anticonvulsants, Bromocriptine, Opioids, Disulfiram, Steroids (corticosteroids, oral contraceptives), Barbiturates, Benzodiazepines (clonazepam), Levodopa, Statins.